All of the following are true about nodular sclerosis of Hodgkin's disease except -
1. Well formed fibrous stands
2. CD 15 +
3. CD 20 +
4. Infiltration by plasma cells

Correct answer: 3. CD 20 +

Explanation: CD 20 is positive in lymphocytic predominance variant (not in nodular sclerosis variant)

 Pathology of nodular sclerosing variant

Presence of lacunar variant of Reed-sternberg cells.
Deposition of collagen in bands that divide the involved lymph nodes into circumscribed nodules.
Fibrosis may be scant or abundant.
The Reed-Sternberg cells are found in a polymorphous background of T-cells, eosinophils, plasma cells and macrophages.

Following information has been added in 8th  of Robbins

Classical Reed-Sternberg cells are also positive for PAX5 (a B-cell transcription factor) along with CD15 and CD30.